ECF is how much part of total body water -
1. One third
2. Half
3. Two third
4. None

Correct answer: 1. One third

Explanation: Ans. is 'a' i.e.. One third Extracellular fluid (14 litres)o 20% of body weighto 33% of total body waterExtracellular fluid (14 litres)o 20% of body weighto 33% of total body wraterIntracellular fluid (ICF)Plasmao 3.5 litreso 5% of body weighto 8% of total body watero 25% of ECFo 28 litreso 40% of body weighto 67% of total body waterInterstitial fluido 10.5 litreso 15% of body weighto 25% of total body watero75% of ECF Total body water (42 litres)o 60% of body weight